Which of the following is present intracellularly in muscle cells -
1. Insulin
2. Corticosteroid
3. Epinephrine
4. Glucagon

Correct answer: 2. Corticosteroid

Explanation: Ans. is `b' i.e., Corticosteroids o Insulin, epinephrine and glucagon act on membrane receptors. o Corticosteroids act on intracellular (cytoplasmic receptors).